Spinal cord develops from
1. Neural tube
2. Mesencephalon
3. Rhombencephalon
4. Prosencephalon

Correct answer: 1. Neural tube

Explanation: HUMAN EMBRYOLOGY-INDERBIR SINGH TENTH EDITION-PAGE NO:325Spinal cordThe spinal cord is developed from the coudal cylindrical part of the neural tube. when this part of the neural tube is formed, its cavity its cavity is in the form of a dorsal ventricular cleft